Enzyme involved in both glycogenesis and glycogenolysis is:
1. Glycogen synthase
2. Phosphoglucomutase(PGM)
3. Phosphorylase
4. Phoshoglycero mutase

Correct answer: 2. Phosphoglucomutase(PGM)

Explanation: Enzyme common between glycogenesis and glycogenolysis is phosphoglucomutase for interconversion between glucose-1-P and glucose-6-P. (see treasure) Phosphoglyceromutase- for isomerization of 3-phosphoglycerate to 2-phosphoglycerate in glycolysis Enzyme common between glycogenesis and glycolysis Hexokinase/ Glucokinase glycogenesis and glycogenolysis Phosphoglucomutase. gluconeogenesis and glycogenolysis Glucose-6- phosphatase